In alpha-thalassemia trait, electrophoresis shows:
1. Increased HbF & normal HbA2
2. Normal HbF & normal HbA2
3. Normal HbF & decreased HbA2
4. Decreased HbF & normal HbA2

Correct answer: 2. Normal HbF & normal HbA2

Explanation: Electrophoresis is a screening test for hemoglobinopathies Normal individual Sickle cell anaemia a thalassemia b thalassemia HbA 95% Absent Less HbF 2% Present Normal Increased HbA2 3% Present Normal Increased Note: In sickle cell anemia absence of HbA means the disease severity is very high. But in sickle cell trait HBA is present. Note: Screening test for both a & b thalassemia is NESTROF IOC for both a & b thalassemia is HPLC